65 year old man who is anaemic, complaints of back
pain, multiple radiolucencies in panaromic view
1. Multiple myeloma
2. Osteosarcoma
3. Giant cell granuloma
4. Eosinophilic

Correct answer: 1. Multiple myeloma